Liquefactive necrosis is seen in -
1. Heart
2. Brain
3. Lungs
4. Spleen

Correct answer: 2. Brain

Explanation: Ans. is 'b' i.e., Brain